Kespar Hauser syndrome is due to
1. Constitutional delayed growth
2. Growth hormone deficiency
3. Growth hormone insensitivity
4. Psychosocial causes

Correct answer: 4. Psychosocial causes